Enucleation of the eyeball is contraindicated in ?
1. ndophthalmitis
2. Panophthalmitis
3. Intraocular tumours d
4. Painful blind eye

Correct answer: 2. Panophthalmitis

Explanation: Ans. is 'b' i.e., Panophthalmitis Enucleation Enucleation is the removal of eyeball with a portion of optic nerve from the orbit while preserving all other orbital structures. Indications Absolute :- Retinoblastoma, malignant melanoma. Relative :- Painful blind eye, mutilating ocular injury, anterior staphyloma,phthisis bulbi, endophthalmitis, congenital anophthalmia or severe microphthalmia. Contraindications Enucleation is contraindicated :- After the onset of sympathetic ophthalmia Panophthalmitis :- Infection can spread the cut ends of optic nerve sheath causing meningitis